Which of the following is the best indicator of long term nutritional status -
1. Mid arm circumference
2. Height for age
3. Weight for age
4. Weight for height

Correct answer: 2. Height for age

Explanation: Ans. is 'b' i.e., Height for age Stunting (deficit in height for age) generally points towards a chronic course of malnutrition. Ghai "Height is a stable measurement of growth as opposed to body weight. Whereas weight reflects only the present health status of the child, height indicates the events in the past also".